Remnants of Wolffian ducts in a female are found in
1. Pouch of Douglas
2. Uterovesical pouch
3. Broad ligament
4. lliac fossa

Correct answer: 3. Broad ligament

Explanation: Gartner's ductwhich is a remnant of wolffian duct, is present inbroad ligament.